Commonest site of aneurysm is -
1. Middle cerebral artery
2. Vertebrobasilar system
3. Anterior communicating artery
4. Internal carotid artery

Correct answer: 3. Anterior communicating artery